A newborn developed respiratory depression in a postoperative ward. It can result from the use of ?
1. Opioid
2. Propofol
3. Furosemide
4. Heparin

Correct answer: 1. Opioid